A child with erythematous non-blanching bosselated lesion on right side of the face, Rx is –
1. Erbium laser
2. Nd–YAG laser
3. Flash light pumped dye laser
4. Q ruby laser

Correct answer: 3. Flash light pumped dye laser

Explanation: "Non blanching bosselated lesion on right side of the face suggests port wine stain"
Treatment of choice for port-wine stain is a yellow-pulsed dye laser often along with cryogen spray cooling.